Which type of cervical finish line prepared will result in 
an overcontoured restoration?
1. Chamfer
2. Knife-edge
3. Shoulder
4. Shoulder with bevel

Correct answer: 2. Knife-edge

Explanation: Knife-edge margin provides inadequate bulk for the material and underpreparation. Overcontoured crowns result mainly due to underprepared teeth.